2-year-old child presents with short stature and cafe-au lait spots. Bone marrow aspiration yields a little material and mostly containing fat. What is your diagnosis:
1. Fanconi anemia
2. Dyskeratosis congenita
3. Tuberous sclerosis
4. Osteogenesis imperfecta

Correct answer: 1. Fanconi anemia

Explanation: - All features given in the question suggests the diagnosis of Fanconi anemia Common physical findings in Fanconi Anemia (FA): - Skin pigment changes including Cafe-au-lait spots (55% cases) - Short stature (in 50% cases) - Microcephaly - Thumb and radial malformations - Renal and cardiac malformations - Hypogonadism - Associated with Aplastic anemia.